SSPE is a rare complication of
1. Mumps
2. Measles
3. Rubella
4. Influenza

Correct answer: 2. Measles

Explanation: (B) Measles # SSPE: It is characterized by a history of primary measles infection usually before the age of 2 years, followed by several asymptomatic years (6-15 on average), and then gradual, progressive psychoneurological deterioration, consisting of personality change, seizures, myoclonus, ataxia, photosensitivity, ocular abnormalities, spasticity, and coma.> Pathologic changes are firstly observed in the white matter of the hemisphere.